Which of the following infects hair, skin and nails
1. Trichosporum
2. Trichophyton
3. Microsporum
4. Epidermophyton

Correct answer: 2. Trichophyton

Explanation: Microsporum- hair and skin. Epidermophyton- skin and nail. Reference: Textbook of Microbiology; Baveja; 4th edition